Which of the following autoantibodies is most likely to be present in a patient with SLE?
1. Anti-ds DNA
2. Anti Ro
3. Anti-Phospholipid
4. Anti-Ribosomal P

Correct answer: 1. Anti-ds DNA

Explanation: Ans. A. Anti-ds DNAAnti-ds DNA is present in 65% cases of SLE and is a marker of development of lupus nephritis.Anti Ro is present in 30% cases and is a marker of cutaneous lupus and development of congenital CHB in the baby of mother with SLE. Anti-phospholipid are present in 40% cases and are a marker of recurrent fetal loss and thrombosis.Anti-ribosomal P antibody is present in 20% cases only and is a marker of psychosis